Which of the following lesions is NOT an infection from human papilloma virus?
1. Verruca vulgaris
2. Focal epithelial hyperplasia
3. Condyloma acuminatum
4. None of the above

Correct answer: 4. None of the above